Loss of lamina dura can be seen in:
1. Hyperparathyroidism.
2. Hyperthyroidism.
3. Hypothyroidism.
4. None of the above.

Correct answer: 1. Hyperparathyroidism.